Risk for endometrial cancer is:a) Obesityb) Pregnancy before 20 years agec) PCODd) Combined OC pillse) Artificial menopause
1. a
2. ac
3. ad
4. b

Correct answer: 2. ac